Hypophosphatemia is caused by-
1. Primary hypothyroidism
2. Primary hyperparathyroidism
3. Primary hyperthyroidism
4. Hypoparathyroidism

Correct answer: 2. Primary hyperparathyroidism

Explanation: Ans. is 'b' i.e., Primary hyperparathyroidism Causes of hypophosphatemia Internal redistribution Decreased intestinal absorption Increased urinary excretion o Increased insulin secretion o Inadequate intake o Primary' and secondary particularly during feeding o Antacids containing hyperparathyroidism o Acute respiratory alkalosis aluminum or magnesium o Vitamin D deficiency or o Hungry' bone syndrome o Steatorrhoea or chronic diarrhea resistance o Catecholamines o Vitamin D deficiency or resistance a Hereditary hypophosphatemia o Recovery' from starvation rickets or acidosis o Oncogenic osteomalacia o Gram negative sepsis o Fanconi syndrome o Other acetazolamide o Bartter syndrome Clinical feature of intracellular phosphate depletion o Most of the syndrome of hypophosphatemia are due to two consequences of intracellular phosphate depletion which virtually affect all organ system. o Red cell 2, 3- DPG (diphosphoglycerate) level falls, Thereby increasing the affinity1 of hemoglobin for oxygen and reducing oxygen release at the tissue level o Intracellular A TP level falls With severe hypophosphatemia those cell function that depend upon the energy rich phosphate compounds begin to fail. Effect of hypophosphatemia on various organs